The nucleus ambiguus is shared by all of the following cranial nerves except
1. IX
2. X
3. XI
4. XII

Correct answer: 4. XII

Explanation: Cranial part of nucleus ambiguus gives fibers to IX, X and the cranial root of XI nerve. The caudal part of this nucleus gives fibers to the spinal root of XI nerveRef: Chaurasia; Volume 3; 6th edition; Page no: 342